All are features of somatization disorder except -
1. Frequently changing pain sites
2. Sexual symptoms
3. Paresthesia
4. Professional patients

Correct answer: 4. Professional patients

Explanation: Professional patient refers to Munchausen syndrome (factitious disorder).